Nocardia infection is associated most commonly with:
1. Liver abscess
2. Lung abscess
3. Brain abscess
4. Subcutaneous abscess

Correct answer: 2. Lung abscess

Explanation: Ans. is 'b' i.e., Lung abscessRef:(Ananthanarayan, 8th/e, p. 393; 9th/e, p. 390-91)Pneumonia, the most common form of nocardial disease in the respiratory tract, is typically subacute; symptoms have usually been present for days or weeks at presentation. The onset is occasionally more acute in immunosuppressed patients. Cough is prominent and produces small amounts of thick, purulent sputum that is not malodorous and infiltrates and nodules tend to cavitate. Empyema is present in one-quarter of cases.